During eccentric excursive movement selective grinding is done in which of the following order?
1. Balancing protrusive working interferences
2. Protrusive working balancing interferences
3. Protrusive balancing working interferences
4. Balancing working protrusive interferences

Correct answer: 4. Balancing working protrusive interferences